Dominant movement of root with relatively less movement of the crown is called
1. Couple
2. Torque
3. Intrusion
4. Extrusion

Correct answer: 2. Torque